Minor modifications done in the existing tooth contours to improve a smile is termed -
1. Cosmetic contouring
2. Smile contouring
3. Micro dentistry
4. Enamel reshaping

Correct answer: 1. Cosmetic contouring